The Postmortem finding seen in smothering -
1. Abrasion on the inner side of the mouth
2. Fracture body of hyoid
3. Thyroid fracture
4. Curved marks on the neck

Correct answer: 1. Abrasion on the inner side of the mouth

Explanation: In smothering lips, gums, tongue, inner side of mouth and nose may show bruising or lacerations.